Commonest ligament injured in ankle injury:
1. Anterior talofibular ligament
2. Calcaneofibular ligament
3. Posterior talofibular ligament
4. Spring ligament

Correct answer: 1. Anterior talofibular ligament

Explanation: ANKLE LIGAMENT INJURY The most common mode of ankle injury is inversion of plantar flexed foot. Commonest ligament injured- Anterior talofibular ligament